Which of the following is not used in delirium?
1. Haloperidol
2. Lithium
3. Diazepam
4. Olanzapine

Correct answer: 2. Lithium

Explanation: Delirium - treat the underlying cause For symptomatic treatment we can use benzodiazepines like in alcohol and antipsychotic (Haloperidol is the traditional choice, 0.25-2 mg every 4 hours) Lithium has no role in treating delirium